All the following intraocular foreign bodies produce suppurative reaction except
1. Copper
2. Zinc
3. Nickel
4. Gold

Correct answer: 4. Gold

Explanation: No reaction of gold (inert).